Fibrin is degraded by ?
1. Thrombin
2. Fibrin
3. Plasmin
4. None

Correct answer: 3. Plasmin

Explanation: Coagulation must be balanced with fibrinolysis to limit the hemostatic plug to the site of injury. Injured vascular endothelium secret plasminogen activator that converts inactive plasminogen to active plasmin. Plasmin breaks down fibrin resulting in production of fibrin degradation products. Fibrinolytic system is regulated by plasminogen activator inhibitors (PAIs) that are secreted by endothelium.